Urticarial lesions are best described as-
1. Nonpruritic
2. Bullous
3. Macular
4. Evanescent

Correct answer: 4. Evanescent

Explanation: Ans. d. EvanescentWheal/hives are evanescent (last for short duration) lesions